Which of the following best describes felon?
1. Cystic swelling at the back of the wrist
2. Infection of nail fold
3. Infection of pulp space
4. Thickened fibrous sheath at the wrist

Correct answer: 3. Infection of pulp space

Explanation: Ans. is 'c' i.e., Infection of pulp space * Felon is the infection of distal pulp space. Next to acute paranychia, this is the most common hand infection. It usually follows a pinprick, with index finger and thumb being the common unfortunate victim. The patient initially complains of dull pain and swelling. Pain may be excruciating if the pressure of this tight compartment increases significantly because pus is entrapped in fingertip septae.* Complications are osteomyelitis (most common), skin necrosis, osteonecrosis of digits and rarely tenosynovitis or infective arthritis of DIP joint.* Treatment consists of antibiotics in the initial stages and if the pain lasts for more than 12 hours, incision and drainage helps. If osteomyelitis develops, sequestrectomy of distal phalanx is done.